Which of the following is a curative resection?
1. R0
2. R1
3. R2
4. R3

Correct answer: 1. R0

Explanation: Ans. (a) R0Ref: Sabiston 20th Edition, Page 1218* R 0,1,2 are used to show the completeness after resection of a cancer* R0--Microscopic margin is negative in specimen* R1--Microscopic margin is positive in specimen* R2--Macroscopic margin is positive in specimen